Best investigation for VUR is ?
1. IVU
2. MCU
3. Retrograde pyelogram
4. Retrograde urethrogram

Correct answer: 2. MCU

Explanation: Ans. is 'b' i.e., MCUInvestigation of choice for VUR > Voiding/micturating cystourethrogram.